Most common malignant tumor of salivary glands
1. Pleomorphic adenoma
2. Warthin tumor
3. Adenoid cystic carcinoma
4. Mucoepidermoid carcinoma

Correct answer: 4. Mucoepidermoid carcinoma

Explanation: BENIGN MALIGNANT Pleomorphic adenoma(50%) Mucoepidermoid carcinoma(15%) Warthin tumor(5%) Acinic cell carcinoma (6%) Oncocytoma(2%) Adenocarcinoma NOS(6%) Cystadenoma(2%) Adenoid cystic carcinoma(4%) Basal cell adenoma(2%) Malignant mixed tumor(3%) TEXT BOOK OF ROBINS BASIC PATHOLOGY NINTH EDITION PAGE.556